Which of the following substances is most potent androgen ?
1. Dehydroepiandrostenidione
2. Dihydrotestosterone
3. Androstenidione
4. Testosterone

Correct answer: 2. Dihydrotestosterone